Potassium sparing diuretics acts on :
1. Na+ K+ pump
2. Aldosterone receptor
3. Carbonic anhydrase
4. Na+ Cl– symporter

Correct answer: 2. Aldosterone receptor